Regarding antibiotics true are
1. No prophylaxis for clean contaminated surgery
2. No prophylaxis for gastric ulcer surgery
3. Prophylaxis for colorectal surgery
4. Local irrigation with antibiotic contraindicated when systemic antibiotics given

Correct answer: 3. Prophylaxis for colorectal surgery

Explanation: In clean contaminated surgeries (ex : gastric) , Prophylactic antibiotics are used In contaminated surgeries , lke colorectal surgeries prophylactic antibiotics are used